Percussion was discovered by?
1. Leanacc
2. Leopald Aunbruger
3. Jenner
4. C. Bernard

Correct answer: 2. Leopald Aunbruger

Explanation: Ans. b (Leopald Aunbruger)NAME ~DISCOVERYLaennecStethoscopeLeopald AunbrugerPercussionJennerSmall pox vaccineChristian BernardCardiac transplant